A highly ionized drug:
1. Is excreted mainly by the kidney
2. Can cross the placental barrier easily
3. Is well absorbed from the intestine
4. Accumulates in the cellular lipids

Correct answer: 1. Is excreted mainly by the kidney

Explanation: Ans. (A) Is excreted mainly by the kidneys(Ref: KDT 8th/e p36)Ionized molecules cannot cross the biological membranes. Therefore, these are less likely to be absorbed. Entry of these molecules through blood brain barrier and blood placental barrier is also restricted. These drugs cannot be reabsorbed in the nephron, thus are excreted by the kidneys.